In Peritonsillar Abscess, pain is referred to ear due to
1. Facial Nerve
2. Glossopharyngeal Nerve
3. Vagus Nerve
4. AuriculoTemporal Nerve

Correct answer: 2. Glossopharyngeal Nerve

Explanation: In Peritonsillar Abscess or Quinsy, pain is referred to ear Glossopharyngeal Nerve (Tympanic or Jacobson's branch of Tympanic Plexus) because it is passing close to the peritonsillar space which might get irritated due to inflammation. Thus leading to referred otalgia in the patient